Commonest organism giving rise to urinary tract infection:
1. E. coli
2. Proteus
3. Staphylococcus
4. Streptococcus

Correct answer: 1. E. coli

Explanation: - Most common hospital acquired infection- UTI- Most common organism responsible for UTI- E. coli